Cardiomyopathy is not a feature of -
1. Duchenne's Muscular Dystrophy
2. Friedriech's ataxia
3. Pompe disease
4. Lowe's syndrome

Correct answer: 4. Lowe's syndrome

Explanation: Ans. is 'd' i.e., Lowe's Syndrome